Olfactory area commonly looks -
1. Pink colour
2. Yellow colour
3. Greyish white colour
4. Blue colour

Correct answer: 2. Yellow colour